Micro angiopathic hemolytic anaemia is seen in all of the following diseases except -
1. Antiphosphlipid antibody syndrome
2. Thrombotic thrombocytopenic purpura
3. Microscopic polyangitis
4. Metallic cardiac valves

Correct answer: 4. Metallic cardiac valves